Which of the following act as an intermediate host for hydatid disease?
1. Man
2. Dog
3. Cat
4. Foxes

Correct answer: 1. Man

Explanation: Hydatid cyst disease is caused by Echinococcus species. Echinococcal species have both intermediate and definitive hosts, the definitive hosts are canines that pass eggs in their feces. And the intermediate hosts includes man, sheep, cattle, goats, camels, and horses for theE. granulosus complex and mice and other rodents for E. multilocularis. After the ingestion of eggs, cysts develop in these intermediate hosts. Echinococcosis is an infection caused in humans by the larval stage of the Echinococcus granulosus complex, E. multilocularis, or E. vogeli. E. granulosus complex parasites. They produce unilocular cystic lesions and are prevalent in areas where livestock is raised in association with dogs, causing cystic hydatid disease. The liver and the lungs are the most common sites of these cysts. Ref: White, A.C., Weller P.F. (2012). Chapter 220. Cestode Infections. In D.L. Longo, A.S. Fauci, D.L. Kasper, S.L. Hauser, J.L. Jameson, J. Loscalzo (Eds),Harrison's Principles of Internal Medicine, 18e.